All are examples of negative feedback except
1. Coagulation of the blood
2. Regulation of blood pressure
3. Regulation of blood CO2 level
4. Regulation of pituitary hormones

Correct answer: 1. Coagulation of the blood

Explanation: Negative feedback is defined as a decrease in function in response to a stimulus. For example, the secretion of follicle stimulating hormone decreases as the amount of circulating estrogen increases.blood coagulation the sequential process by which the multiple coagulation factors of blood interact in the coagulation cascade, resulting in formation of an insoluble fibrin clot. Regulation of blood pressure - Baroreceptor reflex: Baroreceptors in the high-pressure receptor zones detect changes in arterial pressure. These baroreceptors send signals ultimately to the medulla of the brain stem, specifically to the rostral ventrolateral medulla (RVLM). The medulla, by way of the autonomic nervous system, adjusts the mean arterial pressure by altering both the force and speed of the heart's contractions through feedback control mechanism.Regulation of blood CO2 level is through negative feedback Regulation of pituitary hormones is through feedback regulation.Ref: Ganong's review of medical physiology;24th edition; page no-303